Indication for nasotracheal intubation is
1. Oral surgeries
2. Coagulopathy
3. Basilar skull fractures
4. Maxillary fractures

Correct answer: 1. Oral surgeries

Explanation: It is the most common method used for giving anaesthesia in oral surgeries as it provides a good field for surgeons to operate.Other options are contraindications.